A 20-year-old female from Uttar Pradesh presents with nasal obstruction and crusting of nose. Examination revealed an infiltrating lesion involving the nasal vestibule and upper lip with broadening of nasal dorsum. Likely diagnosis is:
1. Rhinosporidiosis
2. Rhinoscleroma
3. Fungal granuloma
4. Nasal diphtheria

Correct answer: 2. Rhinoscleroma

Explanation: Rhinoscleroma is common in northern states of India. It is caused by Klebsiella rhinoscleromatis - a capsulated gram-negative eoccobacillus. The lesion passes through catarrhal, granulomatous and cicatricial stages. Nose is the most frequent site involved. Lesion begins at the mucocutaneous region of nasal vestibule and infiltrates the nasal vestibule, septum and upper lip resulting in broadening of nose and woody hard infiltration of lip.